Baroreceptor stimulation would result in
1. Decreased Vagal activity
2. Increased Heart rate
3. Decreased sympathetic discharge to heart
4. Increased vasomotor tone

Correct answer: 3. Decreased sympathetic discharge to heart

Explanation: Baroreceptor stimulation would result in decreased sympathetic discharge to heart.. The baroreceptors are stretch receptors in the walls of the heart and blood vessels. Baroreceptor stimulation, by distension of the structures they are located in, inhibits the tonic discharge of sympathetic nerves and excites the vagal innnervation of the heart. Thus leading to: Vasodilatation and venodilatation Hypotension Bradycardia Decrease in cardiac output Ref: Ganong's Review of Medical Physiology 26th edition PGno: 577,578